M spike on serum electrophorosis is seen in -
1. Lymphoblastic leukemia
2. Waldenstrom's macroglobulinaemia
3. Alpha-chain disease
4. AIDS

Correct answer: 2. Waldenstrom's macroglobulinaemia